Which of the following is an exception of courvoiser's law
1. Double impaction
2. Portal lymphadenopathy
3. Periampullary Carcinoma
4. None of the above

Correct answer: 1. Double impaction

Explanation: Exceptions to courvoiser's law Double impaction of stones (one in cystic duct and other on CBD) Oriental cholangiohepatitis Pancreatic calculus obstructing the ampulla of vater Mucocele due to Stone in the cystic duct Ref: Sabiston 20th edition Pgno : 1544